Which of the following is the most appropriate term for a graft when donor and recipient are identical twins?
1. Xenograft
2. Allograft
3. Isograft
4. Autograft

Correct answer: 3. Isograft

Explanation: GRAFTS: Autograft- Self ; Skin/Hair grafting. Allograft- Different person from same species. Isograft- Identical twin. Xenograft- Different species; valvular replacement.